From the following neck of femur fractures, which one has the worst prognosis?
1. Basicervical
2. Garden's type 4
3. Transcervical
4. Prognosis same in A,B,C

Correct answer: 2. Garden's type 4

Explanation: Garden classification Stage Description Image Stage I Incomplete impacted fracture(abduction fracture) Femoral head is tilted into valgus in relation to the neck Stage II Complete but undisplaced fracture Stage III Complete fracture with moderate displacement Stage IV Severely displaced fracture Worst prognosis